The interureteric ridge forming the base of trigonal structure is also called
1. Bell's muscle
2. Mercier's bar
3. Rice's bar
4. Toldt's bar

Correct answer: 2. Mercier's bar

Explanation: Interureteric fold: A fold of mucous membrane extending from the orifice of the ureter of one side to that of the other side. Also called Mercier's bar. Bell's muscle A band of muscular fibres, forming a slight fold in the wall of the bladder, running from the uvula to the opening of the ureter on either side, bounding the trigonium. * Toldt's fascia - fixation of fascial planes behind the body of the pancreas.